A newborn presented with jaundice. Most diagnostic investigation of choice is:
1. Total and Direct bilirubin
2. Conjugated bilirubin
3. Serum, bilirubin
4. Uroporphyrin levels

Correct answer: 1. Total and Direct bilirubin

Explanation: a. Total and Direct bilirubin(Ref: Nelson's 20/e p 871-879, Ghai 8/e p 172-176)Measurement of total & direct bilirubin will help to classify jaundice into its respective type and aid in diagnosis.